The coagulation profile in a 13-year old girl with Menorrhagia having Von Willebrands disease is:
1. Isolated prolonged PTT with a normal PT
2. Isolated prolonged PT with a normal PTT
3. Prolongation of both PT and PTT
4. Prolongation of thrombin time

Correct answer: 1. Isolated prolonged PTT with a normal PT

Explanation: Answer is A (Isolated prolonged PTT with a normal PT) Von Willebrand disease is characterized by prolonged bleeding time and a prolonged PTT. The prothrombin time is normal.